When a normal subject develops a spontaneous pneumothorax of his right lung, you would expect the following to occur:
1. Right lung contracts
2. Chest wall on the right contracts
3. Diaphragm on the right moves up
4. Mediastinum moves to the right

Correct answer: 1. Right lung contracts

Explanation: Spontaneous pneumothorax of the right lung will decrease its volume because the normal expanding pressure is abolished. All the other choices are incorrect: The increase in pressure on the right will cause the chest wall on that side to expand The diaphragm to move down, and the mediastinum to shift to the left. The blood flow to the right lung will be reduced both because its volume is small and also there is hypoxic pulmonary vasoconstriction.